A 35-year-old male presents with bald patches and with no scars. The patches are well demarcated with broken hair at the edges. Diagnosis is:
1. Alopecia areata
2. Androgenic alopecia
3. DLE
4. Telogen effluvium

Correct answer: 1. Alopecia areata

Explanation: Ans. a. Alopecia areataAlopecia areata is a form of non-scarring alopecia with the edges showing coudability sign and exclamation hairsAndrogenic alopecia presents with diffuse involvement of frontotemporal regions and vertex, sparing occiputTelogen effluvium presents with diffuse involvement of scalp, with a history of a precipitating factor 3-4 months earlier, e.g. severe febrile illness, crash dieting, mental stress etc.